The dose of betamethasone in prenatal to prevent respiratory distress syndrome is -
1. 6 mg
2. 12 mg every 24 hours
3. 6 mg every 12 hours
4. 4 mg start

Correct answer: 2. 12 mg every 24 hours

Explanation: Ans. is 'b' i.e., 12 mg every 24 hours